The examination of a 24 year old patient reveals that mucosal lining of the cervix is visible. On digital examination the external os is patulous and the lower part of the cervix canal can be felt with the examining finger. There is no visible purulent discharge. History reveals that she had cervical laceration during childbirth. What is the probable diagnosis?
1. Chronic cervicitis
2. Ca cervix
3. Cervical ectropion
4. Cervical polyp

Correct answer: 3. Cervical ectropion

Explanation: This is a case of cervical ectropion. The predisposing cause is a badly lacerated cervix which may have occurred during childbirth. Here the endocervical canal is everted. The treatment is excision of the scar tissue and suturing the torn edges of cervix with chromic catgut. Ref: Shaw's textbook of gynaecology, Edition 12, Page - 254.